What is CRISPR
1. Clustered regularly interspaced short palindromic repeats
2. Clustered Regularly in short polymerase reaction
3. Cryptococcal immune short pole reaction
4. None of the above

Correct answer: 1. Clustered regularly interspaced short palindromic repeats

Explanation: CRISPR is acronym for clustered regularly interspaced short palindromic repeats.